Mean deviation is -
1. Measure of dispersion
2. A ratio
3. A range
4. An average

Correct answer: 1. Measure of dispersion